Hemiplegia is most often caused by thrombosis of -
1. Anteiror cerebral artery
2. Middle cerebral artery
3. Posterior cerebral artery
4. Basiliar artery

Correct answer: 2. Middle cerebral artery

Explanation: Ans. is 'b' i.e., Middle cerebral artery Middle Cerebral Arteryo Deep branches of the middle cerebral artery on the lenticulostriate branches supply the internal capsule (posterior limb).o Motor tracts are densely packed in this region and hence occlusion of deep branches or lenticulostrials branches leads to Densse Hemiplegia/ Pure motor Hemiplegia.o Anterior choroidal artery supplies the posterior limb of internal capsule (and not anterior limb of internal capsule).o Anterior chorodial artery arises from the internal carotid artery and supplies the posterior limb of internal capsule. The complete syndrome of anterior choroidal artery occlusion consists of contralateral hemiplegia hemianesthesia (hypoesthesia) and homonymous hemianopiaPosterior Cerebral Arteryo The posterior cerebral artery supplies the midbrain, thalamus lateral geniculate bodies, posterior of chroid plexus, occipital lobes, inferior and medial aspect of the temporal lobe and posterior inferior areas of the parietal lobe.Occlusion of the Posterior Cerebral Artery usually results in two common clinical svndrome dcncndimi on the areas involved|||PI SyndromeP2 Syndromeo Occlusion of the proximal segment of PCA from its origin to its union with the posterior communicating artery.o PI syndrome present primarily with the following signs:# Midbrain signs# Thalamic signs# Subthalamic signso Occlusion of the distalsegment of PCA distal to the junction of PCA with the posterior communicating arteryo P2 syndrome presents primarily with the following signs:# Temporal lobe signs# Occipital lobe signs